Tertiary stem villi consists of:-
1. Central core of cytotrophoblast covered with synctiotrophoblast
2. Central core of extra-embryonic mesoderm covered by central cyto- and peripheral synctio- trophoblast
3. Central maternal blood vessels surrounded by mesoderm and trophoblast
4. Central fetal blood vessels surrounded by mesoderm and trophoblast

Correct answer: 4. Central fetal blood vessels surrounded by mesoderm and trophoblast

Explanation: Secondary villi:- contains a central core of primary (extra embryonic) mesoderm and is covered by cyto- and syncytio- trophoblast cells. Tertiary villicontains fetal blood vessels invading the extra embryonic mesoderm and is covered by trophoblastic cells.